Strabismic amblyopia is more common in patients with
1. Latent squint
2. Intermittent squint
3. Alternate squint
4. Constant squint

Correct answer: 4. Constant squint

Explanation: Strabismic amblyopia: It results from prolonged uniocular suppression in children with unilateral constant squint who fixate with normal eye. Ref:- A K KHURANA; pg num:-319